A 35 years old male, with pre-morbid anxious traits & heavy smoker, believes that he has been suffering from iung carcinoma* for a year. No significant clinical finding is detected on examination and relevant investigation. He continues to stick to his belief despite evidence to the contrary. In the process, he has spent a huge amount of money, time and energy in getting himself unduly investigated. He is most likely suffering from -
1. Carcinoma lung
2. Hypochondriacal disorder
3. Delusional disorder
4. Malingering

Correct answer: 2. Hypochondriacal disorder

Explanation: Ans- B Hypochondriasis Points in favour of hypochondriasis 1. pre-morbid anxious traits ( increase the risk of somatoform disorders) 2. Heavy smoker ( predisposes fear of serious illness like lung cancer based on the misinterpretation of symptoms like cough) 3. Fear of serious illness 4.No significant clinical finding is detected on examination and relevant investigations. 5.He continues to stick to his belief despite evidence to the contrary ( Don' confuse this to delusion, read this line "Hypochondriasis is a preoccupation with the fear that one has, or may develop, serious disease despite evidence to the contrary. " 6.spent a huge amount of money, time and energy in getting himself unduly investigated. Now contrast this to delusional disorder 1, Suspiciuos traits premorbidly 2. Would be firm that he has illness will not waste money in investigations 3. would have associated paranoia and suspiciousness on doctors and family members for giving wrong reports. 4. Would have other unrealistic and bizarre explanation for his illness. Points against malingering 1. No overt monetary or legal gain present